Passavant ridge is formed by
1. Superior constrictor and palatopharyngeus
2. Inferior constrictor and palatopharyngeus
3. Superior constrictor and palatoglossus
4. Inferior constrictor and palatoglossus

Correct answer: 1. Superior constrictor and palatopharyngeus

Explanation: Passavant ridge Near the superior margin of the pharynx, a few fibers of superior constrictor blend with a band of muscle fibers belonging to the palatopharyngeus muscle These fused fibers form a band or ring around the posterior wall and sidewalls of the nasopharyngeal isthmus When the soft palate is elevated this muscle band appears as a ridge is known as passavant ridge. Ref: PL Dhingra, Diseases of Ear, Nose & Throat, 7th edition, pg no. 271